Copper binding protein -
1. Albumin
2. Globulin
3. Transferrin
4. Ceruloplasmin

Correct answer: 4. Ceruloplasmin

Explanation: Ans. is 'd' i.e., CeruloplasminPlasma proteins and their functions in the human bodyProteinsMean plasma concentration (g/100ml)Molecular weight (kD)FunctionAlbumin3-6-5-469Osmotic regulations, transport, as hormone reservoir, bufferingPrealbumin0-0355Transport of retinal and thyroxinea1-Globulins0-3-0 5 a1-Antitrypsin0-2554Inhibitor of serine proteaseOrosomucoid01044Blinds with progesteroneThyroxine-binding globulin0 00258Major binding protein for T3 and T4Transcortin0-00352Binds glucocorticoidsa2-Globulins0-4-0-8 a2-Microglobulin0-20725Non-specific protease inhibitorCeruloplasmin0-02132Copper transport. Oxidase activityHaptoglobin0-2085Binds haemoglobinProthrombin0-0263Blood clottingb-globulins0 6-1-1 Hoemopexin<0160Transports hoemoglobinTransferrin0-3089Transport of ironPlasminogen0-05140Retardation of fibrin clotg-Globulin0-8-18150-950Very heterogenousFibrinogen0-30340Precursor of fibrin clot